Maximum body water is present:
1. Extracellularly
2. Intracellularly
3. Intravascular
4. Equal in 1 & 2

Correct answer: 2. Intracellularly